A 7 year old boy presented with generalized edema. Urine examination revealed marked albuminuria. Serum biochemical examinations showed hypoalbuminaemia with hyperlipidaemia. Kidney biopsy was undertaken. On light microscopic examination, the kidney appeared normal. Electron microscopic examination is most likely to reveal ?
1. Fusion of foot processes of the glomerular epithelial cells
2. Rarefaction of glomerular basement membrane
3. Deposition of electron dense material in the basement membrane
4. Thin basement membrane

Correct answer: 1. Fusion of foot processes of the glomerular epithelial cells

Explanation: Ans. is 'a' i.e., Fusion of foot process of the glomerular epithelial cells o The child in presenting with features S/o Nephrotic syndrome most frequent cause of which amongst children is minimal change ds. o Light microscopic finding of MCD --> no abnormality o Electron microscopic finding of MCD --> fusion of foot processes of the glomerular epithelial cells o Note that loss of foot processes may also be seen in other proteinuric states (eg. Membranous glomerulonephritis, diabetes), but when the fusion is associated with normal glomeruli only then the diagnosis of MCD can be made. o MCD is also know as lipoid nephrosis as cells of the proximal tubules are often laden with lipids.